Which disaccharide is not broken down into GIT by enzymatic action:
1. Lactulose
2. Lactose
3. Sucrose
4. Isomaltose

Correct answer: 1. Lactulose

Explanation: Lactulose is nonabsorbable carbohydrate